In sesorineural hearing loss, weber's test is lateralized to
1. Normal ear
2. Defective ear
3. Not lateralized
4. May alternate

Correct answer: 1. Normal ear

Explanation: Ans. is 'a' i.e., Normal ear Test Normal Conductive deafness SN deafness Rinne AC > BC (Rinne positive) BC > AC (Rinne AC > BC (Rinne Weber Not lateralized negative) Lateralized to negative) Lateralized to ABC Same as examiner's poorer ear Same as better ear Reduced Schwabach Equal examiner's Lengthened Shortened